Hair perforation test is positive in infection with
1. Trichophyton
2. Microsporum
3. Epidermophyton
4. All of the above

Correct answer: 1. Trichophyton

Explanation: Hair preparation test is done to differentiate Trichophyton rubrum and Trichophyton mentagrophytes. Ref: Textbook of Microbiology, Ananthanarayan and Paniker; 9th edition